Which of the following responsible for fasting hypoglycemia ?
1. Increased insulin level
2. Decreased insulin level
3. increased Glycogen
4. Increased Glucagon in liver

Correct answer: 1. Increased insulin level

Explanation: Fasting hypoglycemia In otherwise healthy people, prolonged fasting (even up to several days) and prolonged strenuous exercise (even after a period of fasting) are unlikely to cause hypoglycemia. However, there are several diseases or conditions in which the body fails to maintain adequate levels of glucose in the blood after a period without food (fasting hypoglycemia). In people who drink heavily without eating, alcohol can block the formation of glucose in the liver. In people with advanced liver disease, such as viral hepatitits , cirrhosis, or cancer, the liver may not be able to store and produce sufficient glucose. Infants and children who have an abnormality of the enzyme systems that control glucose use (such as a glycogen storage disorder) also may have fasting hypoglycemia. A rare cause of fasting hypoglycemia is an insulinoma, which is an insulin-producing tumor in the pancreas. Disorders that lower hormone production by the pituitary and adrenal glands (most notably Addison disease) can cause hypoglycemia. Other diseases, such as CKD, heart disease cancer, and sepsis, may also cause hypoglycemia, especially in critically ill people . Ref - pubmed.com